Vertical extension of the enamel knot known as:
1. Enamel Knot.
2. Enamel navel.
3. Enamel cord.
4. Enamel septum.

Correct answer: 3. Enamel cord.